Which insulin is never mixed with other insulins ?
1. Lente
2. Aspart
3. Lispro
4. Glargine

Correct answer: 4. Glargine